All of the following are associated with the development of fibrinoid necrosis, EXCEPT:
1. Aschoff s nodule
2. Malignant hypertension
3. Polyarteritis nodosa
4. Diabetic glomerulosclerosis

Correct answer: 4. Diabetic glomerulosclerosis

Explanation: Fibrinoid necrosis is not seen in diabetic glomerulosclerosis. Diabetic glomeruloscleros is characterized by an increased amount of connective tissue in the mesangium which arise as a consequence of glucose and insulin derangements in diabetes. In diabetes, vessels shows hyalinizing arteriosclerosis. Histologically, it is identified by mesangial nodules of connective tissue surrounded by glomerular capillary loops. The nodular changes are called Kimmelsteil Wilson disease, it is specific for diabetic nephropathy. Ref: Hardcore Pathology By Caer E. Wahl, Page 85; Pathology Secrets E-Book By Ivan Damjanov, 3rd Edition; Encyclopedia of Heart Diseases By M. I. Gabriel Khan, Page 101; Diagnostic Criteria In Autoimmune Diseases By Yehuda Shoenfeld, Page 89; Rubin's Pathology: Clinicopathologic Foundations of Medicine By Raphael Rubin, 6th Edition, Page 28